Best diagnostic test for cholestasis of pregnancy:
1. Serum bilirubin
2. Bile acid
3. Serum alkaline phosphatase
4. Serum transaminase

Correct answer: 2. Bile acid

Explanation: Liver function tests, including serum bile acids are Evaluated. Bile acids are the specific measure of the diagnosis and monitoring. Liver USG is to be done to exclude cholelithiasis. Reference: Textbook of Duttas, 9th edition ,page 271